TSH receptor antibodies are often present in
1. Graves disease
2. Hashimoto thyroiditis
3. Reidels thyroiditis
4. Papillary carcinoma thyroid

Correct answer: 1. Graves disease

Explanation: TSH receptor antibodies (TSH-Rab or TRAB) are often present in Graves' disease. They are largely produced within the thyroid itself.Ref: Bailey and love 27e, page no: 803